Palpation on the costovertebral angle produces pain and tenderness in acute adrenal insufficiency.This is ?
1. Rotch's sign
2. Rossolimo's sign
3. Rogoff s sign
4. Osler's sign

Correct answer: 3. Rogoff s sign

Explanation: Ans. is 'c' i.e., Rogoff's sign